Investigation of choice in gall bladder stone is:
1. USG
2. X-ray abdomen
3. OCG
4. Intravenous cholangiography

Correct answer: 1. USG

Explanation: Ans: a (USG)Ref: Bailey & Love, 24th ed, p. 1097 & 23rd ed, p. 968